A patient presents with history of bullae involving >30% BSA along with rashes all over body with erosions of the lips and other mucosa for few days. What can be the triggering factor?
1. Viral infection
2. Drug induced
3. Bacterial infection
4. Idiopathic

Correct answer: 2. Drug induced

Explanation: Ans. B. Drug induced* Toxic epidermal necrolysis (TEN) is a potentially life-threatening dermatologic disorder characterized by widespread (TEN involves more than 30% of the body surface, whereas SJS involves less than 10%) erythema, necrosis, and bullous detachment of the epidermis and mucous membranes, resulting in exfoliation and possible sepsis and/or death. Mucous membrane involvement can result in gastrointestinal hemorrhage, respiratory failure, ocular abnormalities, and genitourinary complications.* TEN is most commonly treated by drug-induced antibiotics (sulfonamides), antiepileptic drugs (Phenobarbital, Phenytoin), nonsteroidal anti-inflammatory drugs (NSAIDs), ampicillin, allopurinol, and the antiretroviral drugs (nevirapine, abacavir).* The mainstay of treatment is supportive care until the epithelium regenerates.